Dressler's syndrome is due to:
1. Cor pulmonale
2. Mitral stenosis
3. Myocardial infarction
4. Pulmoonary embolism

Correct answer: 3. Myocardial infarction

Explanation: Ans. C: Myocardial infarction It occurs following transmural infarction or open heart surgery. Believed to have immunologic cause-Possibly a latent viral infection may be involved in cause. Clinical-Symptoms typically appear 2-3 weeks following infarct/surgery. May last for weeks or months Pleuritic chest pain (91%) Fever Pericardial and pleural effusion Pericardial friction rub Effusions can be bloody and cause tamponade Imaging Findings: Pleural effusions (83%) Parenchymal opacities (74%) Enlarged cardiac silhouette from pericardial effusion (49%)